Cyanosis is seen in all hypoxia except
1. Hypoxic hypoxia
2. Stagnant hypoxia
3. Anemic hypoxia
4. High altitude

Correct answer: 3. Anemic hypoxia

Explanation: The four categories are:Hypoxemia (sometimes termed hypoxic hypoxia), in which the Po2 of the arterial blood is reduced.Anemic hypoxia, in which the arterial Po2 is normal but the amount of hemoglobin available to carry O2 is reduced.Ischemic or stagnant hypoxia, in which the blood flow to a tissue is so low that adequate O2 is not delivered to it despite a normal Po2 and hemoglobin concentration.Histotoxic hypoxia, in which the amount of O2 delivered to a tissue is adequate but, because of the action of a toxic agent, the tissue cells cannot make use of the O2 supplied to them.Ref: Ganong's Review of medical physiology 25th edition. Page: 647